Lyme disease is transmitted by
1. Rat flea
2. Mite
3. Tick
4. Mosquito

Correct answer: 3. Tick